Difference between rantidine & cimetidine is ?
1. Ranitidine is 5 times more potent than cimetidine
2. Cimetidine is 5 times more potent than ranitidine
3. Ranitidine has androgenic action
4. Ranitidine more markedly inhibits hepatic metabolism

Correct answer: 1. Ranitidine is 5 times more potent than cimetidine

Explanation: Ans. is 'a' i.e., Ranitidine is 5 times more potent than cimetidine Ranitidine has several desirable features compared to cimetidine: 5 times more potent than cimetidine. No antiandrogenic action, does not increase prolactin secretion or spare estradiol from hepatic metabolism - no effect on male sexual function or gynaecomastia. Lesser permeability into brain. Less marked inhibition of hepatic metabolism of other drugs. Overall incidence of side - effects is lower.